HIV virus contains -
1. Single stranded DNA
2. Single stranded RNA
3. Double stranded DNA
4. Double stranded RNA

Correct answer: 2. Single stranded RNA

Explanation: HIV contain two identical single strantede ppsitive senseRNA copie REF:
ANATHANARAYAANAN MICROBIOLOGY NINTH EDITION PAGE.571